A 27 year old female, who works in an office refuses to socialize with her colleagues. She doesn't have any friends and when a male colleague asked her out, she refused, though she really liked him. On asking the reason, she says, no body would like me and I don't want to hurt myself. Which of the following is the likely diagnosis?
1. Histrionic personality disorder
2. Schizoid personality disorder
3. Avoidant personality disorder
4. Anankastic persoanlity disorder

Correct answer: 3. Avoidant personality disorder

Explanation: Excessive sensitivity towards criticism or rejection and avoidance of social situation is suggestive of Avoidant (Anxious) personality disorder. Patients often want to socialise but are too scared of rejection and hence stop themselves. It is a type of Cluster C PD In comparison, patients with schizoid personalty disorder do not want to socialise and are happy with solitary lifestyle.